True about Bronchial Asthma is
1. Allergic Hypo responsiveness of airway
2. Inhaled steroids are mainstay of treatment
3. Is seen in samter's triad along with urticaria
4. IgE levels are increased in intrinsic Asthma

Correct answer: 2. Inhaled steroids are mainstay of treatment

Explanation: Bronchial Asthma is Hyper responsive of airway.
IgE levels are increased in Extrinsic asthma and normal in intrinsic asthmsa.
Samter's triad :


Asthma.
Aspirin sensitivity.
Nasal polyposis.